A 18yr old girl comes to gynaec OPD presenting with 6months A amenorrhea with his low grade fever weight loss pain abdomen generalised weakness On clinical examination pelvic mass felt on left side with features of ascites Diagnosis
1. TB pelvic with tuboovasion mass
2. ectopic pregnancy
3. Granulosa cell tumour
4. Fibroid with degeneration

Correct answer: 1. TB pelvic with tuboovasion mass

Explanation: ref : shaw gynecology